Time period between entry of organism to body to maximum infectivity is -
1. Lead time
2. Median incubation period
3. Generation time
4. Serial inverval

Correct answer: 3. Generation time

Explanation: Ans is 'c' i.e., Generation time * Generation time - Period from receipt of infection to maximal infectivity.* Serial interval - Gap between onset of primary case and secondary case.